The most common nerve involvement in dislocation of Lunate is
1. Median nerve
2. Anterior interosseus
3. Posterior interosseus
4. Ulnar nerve

Correct answer: 1. Median nerve

Explanation: Lunate dislocation : Dislocates anteriorly, remaining are in position Rare dislocation of wrist Treated by open reduction Avascular necrosis is the common complication Median nerve is involved Ref: Maheshwari and Mhaskar 9th ed pg 116,122.